The resolution provided by the light microscope is
1. 200 nm
2. 20 nm
3. 2.0 nm
4. 0.2 nm

Correct answer: 1. 200 nm

Explanation: Resolving Power:Light microscope: 0.25 um - 0.3 um Electron microscope: 2-10 A = 0.2 - 1 nm